Varicella belongs to which family of virus?
1. Adeniviridae
2. Poxviridae
3. Papovaviridae
4. Herpesviridae

Correct answer: 4. Herpesviridae

Explanation: Classification of human herpes viruses:Official nameCommon nameSubfamilyCytopathologySite of latent infectionHuman herpesvirus type 1Herpes simplex virus type 1AlphaCytolyticNeurons/gasserian or trigeminal gangliaHuman herpesvirus type 2Herpes simplex virus type 2AlphaCytolyticNeurons/sacral gangliaHuman herpesvirus type 3Varicella zoster virus AlphaCytolyticNeurons/T3-L3Human herpesvirus type 4Epstein Barr virus GammaLymphoproliferativeLymphoid tissue (B cells)Human herpesvirus type 5Cytomegalovirus Beta Cytomegalic Secretory glands, kidneys, salivary glands and bowelHuman herpesvirus type 6Human B cell lymphotropic virus BetaLymphoproliferativeLymphoid TissuesHuman herpesvirus type 7RK virus BetaLymphoproliferativeLymphoid TissuesHuman herpesvirus type 8Gamma (Ref: Ananthanarayan 9th edition, p467)